Prostaglandin inhibiting action of Aspirin is useful in the treatment of all of the following conditions except
1. Analgesia and antipyresis
2. Closure of ductus arteriosus
3. Uricosuria
4. Anti-inflammatory and antiplatelet aggregation

Correct answer: 3. Uricosuria

Explanation: Inhibition of prostaglandin synthesis is responsible for analgesia, antipyretic, anti-inflammatory and antiplatelet action of aspirin. this action is also utilised in the treatment of PDA. high doses of Aspirin causes uricosuria various therapeutic doses result in hyperuricemia these effects are and related to its action on prostaglandin synthesis Ref kdt 6/e p188